Nakayama strain is used for which vaccine?
1. Typhoid
2. Chicken pox
3. Japanese encephalitis
4. Yellow fever

Correct answer: 3. Japanese encephalitis

Explanation: Ans. (c) Japanese encephalitisRef: Appendix-46, Types of vaccine and immunization